A patient undergoing chest x-ray following an automobile accident is found to have an enlarged mediastinum with bilateral hilar and right paratracheal adenopathy. The patient has been asymptomatic, but careful examination demonstrates an enlarged cervical lymph node. This node is biopsied and demonstrates involvement by small, non-caseating granulomas. Occasional giant cells with stellate inclusions are seen within the granulomas. These are most likely which of the following?
1. Anitschkow cells
2. Aschoff bodies
3. Asteroid bodies
4. Paget's cells

Correct answer: 3. Asteroid bodies

Explanation: The cells described are asteroid bodies, and are classically associated with sarcoidosis, although they are not completely specific for this disease. Anitschkow cells are a form of activated histiocyte with an unusual wavy chromatin. They are found within inflammatory lesions called Aschoff bodies in the hearts of patients with acute rheumatic heart disease. Paget's cells are individual adenocarcinoma cells found within the squamous epithelium of the skin.